Grade 2 abruptio placenta is characterized by
1. Pronounced shock
2. Severe bleeding
3. Coagulation defect
4. Fetal distress

Correct answer: 4. Fetal distress

Explanation: Grade 2 abruptio placenta is characterized by fetal distress. Page clinical classification of placental abruption: Grade 1 Grade 2 Grade 3 Vaginal bleeding is slight Vaginal bleeding mild to moderate Bleeding is moderate to severe or concealed Uterus irritable, minimal tenderness Uterine tenderness is always present Uterine tenderness is marked Maternal BP and fibrinogen unaffected Maternal pulse increased, BP maintained Shock is pronounced FHS good Fetal distress present Fetal death is the rule Maternal shock absent Maternal shock absent Associated coagulation defect or anuria may complicate Ref: DC Dutta's Textbook of Obstertrics 8th edition Pgno: 297